Which antibiotic acts by inhibiting protein synthesis
1. Cefotetan
2. Doxycycline
3. Ciprofloxacin
4. Oxacillin

Correct answer: 2. Doxycycline

Explanation: Ref Goodman Gilman 11/e p 1173 Doxycycline is a tetracycline that act by inhibiting protein synthesis Cefotetan and oxacillin are beta lactam antibiotics that act by inhibiting cell wall synthesis Ciprofloxacin is a Fluroquinolone that acts by inhibiting DNA gyrase